True about Ackermans tumor Is
1. It is a highly malignant tumor
2. Verrucous carcinoma of the larynx
3. Radiotherapy is the treatment of choice
4. Spreads via lymphatics in early stage itself

Correct answer: 2. Verrucous carcinoma of the larynx

Explanation: It is a low grade locally aggressive malignancy. Well differentiated squaumous cell carcinoma with very low metastasis rate.
Radiotherapy is contraindicated as it can produce anaplastic change.